UNDP is an international agency which works for -
1. Development of children
2. Development of human & natural resources in a country
3. Economic development of the country
4. Research and technological development of the country

Correct answer: 2. Development of human & natural resources in a country

Explanation: UNDP -United Nations Devolopment Programme was established in 1966. The basic objective of UNDP is to help the poorer nations devolop their human and natural resources more fully.Tge UNDP project cover virtually every economic and social sector- agriculture,industry,eduaction and science health ,social welfare. Parks textbook of preventive and social medicine.K Park. Edition 23.Pg no: 923